Most common joint to be dislocated in the body is-
1. Shoulder
2. Hip
3. Elbow
4. Knee

Correct answer: 1. Shoulder

Explanation: Ans. is 'a' i.e., Shoulder * Shoulder joint is the commonest joint in human body to dislocate. This is because shoulder joint is vulnerable for dislocation more often than any other joint in the body. The extreme mobility it enjoys jeopardizes its stability. The shoulder joint has an "Achilles point" at inferior part of the capsule providing the joint with a potential weak spot, so much so 90 percent of the anterior dislocation occurs here. 95% of shoulder dislocations are anterior and the remaining 5% are posterior.